Treatment of choice of 28 weeks pregnant female with pain due to fibroid in fundus of size 10 X 10 cm is :
1. Arterial embolization
2. Myomectomy
3. Hysterectomy
4. Conservative management

Correct answer: 4. Conservative management

Explanation: RED DEGENERATION: It predominantly occurs in a large fibroid during the second half of pregnancy or puerperium. The cause is not known but is probably vascular in origin. Infection does not play any part. Treatment: Conservative treatment should be followed. Patient is put to bed. Ampicillin 500 mg capsule thrice daily for 7 days is given. Analgesic and sedative are frequently needed. The symptoms usually clear off within 10 days. When laparotomy is done with mistaken diagnosis, abdomen is to be closed without doing anything. Pedunculated subserous fibroid may, however, be removed. Reference : Dutta Textbook of Obstetrics,7th edition page no 309